Amyloid deposits in liver are initially seen in:
1. Space of disse
2. Hepatic parenchyma
3. Intrahepatic ducts
4. Portal tract

Correct answer: 1. Space of disse

Explanation: Ans. A: Space of disse Kidney-Histologically, the mesangium and capillary basement membrane of glomeruli are the most frequent renal sites of amyloid deposition, followed by involvement of arteriolar and arterial walls and peritubular interstitial tissues. As the extent of the amyloid deposition increases, the glomerular capillary tufts become obliterated and replaced by functionless spherical masses of amyloid material Liver- Microscopically, amyloid is initially deposited in the spaces (of Disse) between the hepatocytes and vascular sinusoids. As more amyloid accumulates, it compresses the hepatic cords and sinusoids. The hepatic cords undergo nutritional and pressure atrophy and become displaced or replaced by bands and nodules of amyloid. Spleen-Amyloidosis of the spleen has two different anatomical patterns. Most commonly, the amyloid deposition is limited to the splenic follicles, resulting in the gross appearance of a moderately enlarged spleen dotted with gray nodules (so called "sago" spleen). Alternatively, the amyloid deposits may spare the follicles and mainly infiltrate the red pulp sinuses, producing a large, firm spleen mottled with waxy discolorations ("lardaceous" spleen).